Presbyopia occurs as a result of the following except
1. Loss of elasticity of the capsule
2. Sclerosis of lens fibres
3. Reduced anterior movement of the lens
4. Reduced contraction of the ciliary muscle

Correct answer: 3. Reduced anterior movement of the lens

Explanation: Presbyopia is multifactorial and is believed to result from poor ciliary muscle contraction with age and age-related sclerosis and loss of elasticity of the lens fibres and the lens capsule.